In a thrombus, the dark lines of zahn are due to
1. Coagulated fibrin
2. Aggregated proteins
3. Aggregated platelets
4. Aggregated R.B.C

Correct answer: 4. Aggregated R.B.C